According to 8th AJCC TNM classification of carcinoma Gallbladder, minimum number of LN involved in N2?
1. 3
2. 4
3. 5
4. 6

Correct answer: 2. 4

Explanation: 8th AJCC (2017) TNM classification of Ca. gall bladder N1 - Metastasis to 1 - 3 regional nodes. N2 - Metastasis to 4 or more regional nodes. M1 - Distant metastasis.